Fogo selvagem is a type of:
1. Pemphigus vulgaris
2. Pemghigus vegetans
3. Pemphigus foliaceus
4. Bullous pemphigoid

Correct answer: 3. Pemphigus foliaceus

Explanation: Endemic pemphigus foliaceus common in rural parts of South America, particularly certain states of Brazil is known as fogo selvagem (wild fire) caused by bite of black fly. Ref: Rook's textbook of dermatology, 8th edition, Pg 40.13